Chemoprophylaxis is done for all except-
1. Cholera
2. Taeniasis
3. Malaria
4. Leprosy

Correct answer: 2. Taeniasis

Explanation: Cholera: Tetracycline or furazolidone for household contacts Bacterial conjunctivitis: Erythromycin ophthalmic ointment Diphtheria: Erythromycin Influenza: Oseltamivir Meningitis, meningococcal: Ciprofloxacin, and minocycline Plague: Tetracycline for contacts of pneumonic plague Ref: 25th edition, Park's Textbook of Preventive and Social Medicine, Page no. 137